Hilar lymphadenopathy is seen in which type of Hodgkin's desease -
1. Lymphocyte predominent
2. Mixed type
3. Lymphocyte depleted
4. Nodular sclerosis

Correct answer: 4. Nodular sclerosis

Explanation: Ans. is 'd' i.e., Nodular sclerosiso Mediastnal lymphnode involvement is mostly seen with Nodular sclerosis type of HL.